Drug of choice for syphilis in a pregnant women
1. Azithromycin
2. Penicillin
3. Tetracycline
4. Ceftriaxone

Correct answer: 2. Penicillin

Explanation: B i.e. Penicillin Penicillin is the only recommended agent for treatment of syphilis in pregnancyQ. If the patient has a documented penicillin allergy, desensitization and penicillin therapy should be given.